Which one of the following is not seen in pheochromocytoma?
1. Episodic hypertension
2. Arrhythmias
3. Headaches
4. Diarrhea

Correct answer: 4. Diarrhea

Explanation: #NAME?